A new born weighing 1000 g is born at gestational age of 30 weeks with respiratory distress within 1hr of birth. All of the following are the diagnostic possibilities EXCEPT?
1. Diaphragmatic hernia
2. HMD
3. Bronchopulmonary dysplasia
4. Pulmonary hemorrhage

Correct answer: 3. Bronchopulmonary dysplasia

Explanation: Bronchopulmonary dysplasia (BPD) -occurs in neonate of HMD who have been treated with O2 & mechanical ventilation It usually takes weeks to develop. So, BPD does not present within few hrs after birth.